Unicollis bicornis
1. Two uterine cavity with one cervix
2. Single vagina with double uterus
3. Incomplete septum of uterus
4. Double uterus with double cervix

Correct answer: 1. Two uterine cavity with one cervix

Explanation: In uterus bicornis unicollis:Two cornua of uterus are seperate in the region of the body but there is a single cervix and single vagina In uterus bicornis bicollis: Vagina is single but the two cornua of the uterus remains seperate and two complete cervices project into the vagina Uterus subseptus:This septum is restricted to the body of the uterus SHAW'S TEXTBOOK OF GYNAECOLOGY,Pg no:99,15th edition